Hormone sensitive lipase is inhibited by-
1. Thyroid homone
2. Insulin
3. OH
4. ACTH

Correct answer: 2. Insulin

Explanation: Ans. is 'b' i.e., Insulin o Hormone sensitive lipase is the hormone involved in lipolysis, i.e. hydrolysis of TGs in adipose tissues,o It is inhibited bv insulin -Regulation of Hormone sensitive lipaseInhibitionStimulationo Insulino Activated by* Epinephrine* Glucagono Covalent modification (phosphorylation)* Catecholamines (Epinephrine, norepinephrine)* Glucagono Increased synthesis* GH* ACTH* Glucocorticoids* Thyroid hormone